Blanket consent is consent taken-
1. When the patient comes to doctor for treatment
2. Oral consent
3. Written consent
4. Taken at the time of admission to do any surgery

Correct answer: 4. Taken at the time of admission to do any surgery

Explanation: Ans. is 'd' i.e., Taken at the time of admission to do any surgery Blanket consent : It refers to consent which is taken usually on a printed form, at the time of admission of the patient, authorizing the doctor to do any surgery under any anesthesia. Legally, it is no consent, i.e. it is of no value in court. To be legally valid consent is to be obtained for each specific procedure and operation. Implied consent : In this, consent presumed to be there. The very fact that the patient has come to the doctor for treatment, it is persumed that his consent is there for routine physical examination. e.g. inspection, palpation, auscultation and percussion. Implied consent is non-written but legally effective form of consent, which is not expressly asserted. Expressed consent : It is stated (oral or written) in clear and explicit language. Oral consent, given in presence of two or more witnesses is as valid as written consent, but there is no record. Written consent is better as there is record of consent available, in cases of dispute. Written informed consent : It is a type of expressed consent in written form which is given by the patient after being informed of nature of illness or nature of procedure or operation to be done, its alternatives, its consequences and complications.